Ichthyosis is associated with –
1. Hodgkins disease
2. AIDS
3. Hypothyroidism
4. All

Correct answer: 4. All

Explanation: Hypothyroidism, AIDS and Hodgkin's lymphoma can cause ichthyosis acquista (acquired ichthyosis).